Senescent RBC's are mainly attacked in-
1. Vivax malaria
2. Ovale malaria
3. Falciparum malaria
4. Quartan malaria

Correct answer: 4. Quartan malaria

Explanation: P. malariae which attacks mainly senescent (old) RBC’s: Agent of Quartan malaria
P. ovale and P. vivax: attack younger RBCs and reticulocytes: Agent of benign tertian malaria
P. falciparum: attacks RBC of all ages: Agent of malignant tertian malaria.